Most common cause of chronic retropharyngeal abscess
1. Infective foreign body
2. Caries teeth
3. Caries of cervical spine
4. Suppuration of retropharyngeal lymph node

Correct answer: 3. Caries of cervical spine

Explanation: CHRONIC RETROPHARYNGEAL ABSCESS (PREVEEBRAL ABSCESS) AETIOLOGY :- It is tubercular in nature and is the result of (i) caries of cervical spine or (ii) tuberculous infection of retropharyngeal lymph nodes secondary to tuberculosis of deep cervical nodes. Ref:- Dhingra; pg num:-266,267